Sentinel node biopsy for Carcinoma breast is for
1. Early diagnosis of cancer
2. For staging the tumors
3. Frozen section
4. Occult disease detection

Correct answer: 2. For staging the tumors

Explanation: Sentinel node biopsy is a surgical procedure used to determine whether cancer has spread beyond a primary tumor into your lymphatic system. It's used most commonly in evaluating breast cancer and melanoma. The sentinel nodes are the first few lymph nodes into which a tumor drains.